Blood supply of liver in ml/min. is
1. 500
2. 1500
3. 3000
4. 5000

Correct answer: 2. 1500

Explanation: The blood inflow rate to the liver is about 1500 mL/min in a normal adult. On the other hand, blood draw rates to a BAL system are restricted to the range of 100-300 mL/min. Toxins that are rapidly cleared by the liver (for example, the ammonia clearance of the normal human liver is several hundred mL/min) cannot be effectively eliminated from the systemic blood by BAL systems currently under clinical evaluation. Ref: guyton and hall textbook of medical physiology 12 edition page number:418,419,420